A 17-year-old girl is admitted to the hospital with severe dyspnea. Physical examination reveals that the patient is suffering from an asthma attack, with associated bronchospasm. Which of the following nerves is responsible for the innervation of the bronchial smooth muscle cells?
1. Greater thoracic splanchnic
2. Phrenic
3. Vagus
4. Intercostal

Correct answer: 3. Vagus

Explanation: The vagus nerve is the only nerve responsible for parasympathetic innervation of the lungs. The phrenic nerve and intercostal nerves are somatic nerves and are not involved in innervation of the heart or lungs. The greater thoracic splanchnic and lesser thoracic splanchnic nerves are responsible for carrying preganglionic sympathetic fibers for the innervation of the abdomen. They also carry afferents for pain from the abdomen.